Not true about anterior cruciate ligament -
1. It begins just behind the anterior horn of lateral meniscus on tibia
2. It is taut in extension
3. It provides proprioceptive inputs to knee
4. It is extrasynovial

Correct answer: 1. It begins just behind the anterior horn of lateral meniscus on tibia

Explanation: Ans. is 'a' i.e., It begins just behind the anterior horn of lateral meniscus on tibia Anterior cruciate ligament (ACL)* ACL is one of the most important ligament of the knee joint.* ACL begins from anterior part of intercondylar area of tibia just behind the anterior horn of medial meniscus and runs upwards, backwards & laterally to attach the posterior part of medial surface of lateral condyle of femur.* Both Cruciate Ligaments are Intra articular, intra capsular and extrasynovial. * ACL provides antero-posterior stability and prevents anterior gliding of tibia on femur and prevents hyperextension.* ACL also provides proprioceptive function of knee joint.* ACL is taut during extension.